Number of isomers possible for Glucose are:
1. 32
2. 64
3. 16
4. 8

Correct answer: 3. 16

Explanation: Number of isomers = 2n n= number of asymmetric carbons in the linear structure of the molecule. Glucose, number of asymmetric carbons are 4 (C2, C3, C4, C5) C1 is symmetric as it is C=O. C6 is CH2OH, so symmetric. As 24 = 16, Hence, in Glucose, isomers are 16. Note: Do not use extra asymmetric carbon in cyclic structures in this formula.